False about total body water (TBW) -
1. ICF is 2/3rd of TBW
2. In newborn TBW is 60% of body weight
3. Premature newborns have more TBW
4. In adults, TBW is 60% of body weight

Correct answer: 2. In newborn TBW is 60% of body weight

Explanation: Ans. is 'b' i.e., In newborn TBW is 60% of body weighto In a term newborn, TBW is 70-80% of body weight. It is more in premature newborn than in term newborn.o Other options are correct.Extracellular fluid (14 litres)o 20% of body weighto 33% of total body waterIntracellular fluid (ICF)Plasmao 3.5 litreso 5% of body weighto 8% of total body watero 25% of ECFo 28 litreso 40% of body weighto 67% of total body waterInterstitial fluido 10.5 litreso 15% of body weighto 25% of total body watero 75% of ECF Total body water (42 litres)o 60% of body weight